Which of the following appears 1st in child?
1. Creeping
2. Crawling
3. Mirror play
4. Pincer grasp

Correct answer: 3. Mirror play

Explanation: Age of appearance of the given milestones is: Mirror play: 6 months Pincer grasp: 9 months Crawling: 8 months Creeping: 10 months, So the 1st to appear out of these is mirror play